All of the following are included in the expectant management of placenta praevia, except:
1. Cervical Encirclage
2. Anti-D administration
3. Corticosteroids
4. Blood transfusion

Correct answer: 1. Cervical Encirclage

Explanation: The cervical encirclage operation given among the options, is mostly effective for cervical incompetence which usually occurs around 14 weeks of pregnancy. It has no proven significant role in the treatment of placenta previa which occurs after the 28th week of pregnancy. While the other three options are included in the treatment of placenta previa. Ref: Dutta 6th edition Page 171 & Page 243; Obstetrics and Gynecology By Charles R. B. Beckmann, American College of Obstetricians and Gynecologists, Barbara M. Barzansky, Frank W. Ling, Douglas W. Laube, Page 208-209, Page 128